Which of the following is found more in aqueous humor than in plasma:
1. Protein
2. Urea
3. Lactate
4. Glucose

Correct answer: 3. Lactate

Explanation: Lactate is found more in aqueous humor than in blood. Concentration More in Aqueous Humor More in Plasma Lactate Protein Ascorbate Urea Pyruvate Glucose